Methemoglobinemia may be caused by following, except:
1. Sulfonamides
2. Phenytoin
3. Phenacetin
4. Salicylates

Correct answer: 4. Salicylates

Explanation: Salicylates